The theorized function of the Hyrtl anastomosis is equalization of which of the following?
1. Oxygen diffusion across villi
2. Osmotic gradient across fetal membranes
3. Pressure gradient between spiral arteries
4. Pressure gradient between umbilical arteries

Correct answer: 4. Pressure gradient between umbilical arteries

Explanation: The Hyrtl anastomosis is a common connection between the umbilical arteries near the cord insertion in most human placentas. It has been speculated that it equalizes the blood pressure between the territories supplied by the umbilical arteries. When placental territories of one artery impose increased resistance to fetal blood flow, the Hyrtl anastomosis redistributes the blood flow into the second artery to reduce the large pressure gradients that are developed in the affected artery. The Hyrtl anastomosis plays the role of either a safety valve or a pressure stabilizer between the umbilical arteries at the placental insertion.